Regarding corpus callosum true is:
1. Connects two cerebral hemispheres
2. Connects cerebellum to cortex
3. Contains only commissural fibres
4. Related to 3rd ventricle anteriorly

Correct answer: 1. Connects two cerebral hemispheres

Explanation: Ans: a (Connects two cerebral hemispheres) Ref: IB Singh, Neuroanatomy, ed, p.74,85CORPUS CALLOSUMMade up of large no of fibres that connect cerebral hemispheres.Parts:Anterior bend- genuMiddle trunkPosterior enlarged splenium.Relations:Intimately related to lateral ventricleUndersurface related to third ventricle.Fibres: Not strictly commissural, but carry association fibres also.